The following is not a Nerve gas -
1. Sarin
2. Tabun
3. Soman
4. Pyrolan

Correct answer: 4. Pyrolan

Explanation: Sarin, Soman, and Tabun are organophosphate nerve agents while Pyrolan is a carbamate.